Moribund patient, triage color-
1. Red
2. Black
3. Yellow
4. Green

Correct answer: 2. Black

Explanation: Ans. is 'b' i.e., Black o The most common triage classification system used international is four colour code systern. 1. Red --> High priority treatment or transfer 2. Yellow Medium priority 3. Green --> Ambulatory patients